Vaginal PH typically is
1. 3 to 3.5
2. 3.5 to 4
3. 4 to 4.5
4. 4.5 to 5

Correct answer: 3. 4 to 4.5

Explanation: Vaginal pH typically ranges between 4 to 4.5.